The triad of general anaesthesia includes
1. Unconsciousness, analgesia and muscle relaxation
2. Anxiolysis, analgesia and unconsciousness
3. Muscle relaxation, sedation and analgesia
4. Dissociation, analgesia and muscle relaxation

Correct answer: 1. Unconsciousness, analgesia and muscle relaxation

Explanation: The triad of general anesthesia : Unconsciousness (narcosis) analgesia muscle relaxation The pentad of anesthesia: Loss of consciousness loss of reflex response amnesia muscle relaxation analgesia Ref: Miller's anesthesia 8th edition Ref: Morgan & Mikhail's clinical anesthesiology 6e